Nephelometry measures the light?
1. Absorbed
2. transmitted
3. Scattered
4. Refracted

Correct answer: 3. Scattered

Explanation: Ans. is 'c' i.e., ScatteredWhen particles are suspended in a solution in a cuvette, they make the solution unclear (turbid). Nephelometry is concerned with measurement of scattered light from a cuvette containing suspended particles in a dilute solution.The components of a nephelometer are the same as a light spectrophotometer except that the detector is placed at a specific angle from the incident light